Most common symptom of CA head of pancreas
1. Vomiting
2. Pain
3. Malabsorption
4. Jaundice

Correct answer: 4. Jaundice

Explanation: Jaundice is the most common symptom of Ca. Head of pancreas.